Gompezian curve is used to describe
1. Cancer growth
2. Wound healing rate
3. Haemorrhagic shock
4. Nutritional requirements in surgical patients

Correct answer: 1. Cancer growth

Explanation: Gompezian curve: In its early stages, growth is exponential but, as the tumour grows, the growth rate slows. This decrease in growth rate probably arises because of difficulties with nutrition and oxygenation. The tumour cells are in competition: not only with the tissues of the host but also with each other.Ref: Bailey and Love 27e pg: 143